Which of the following does not form the ground substance
1. Glycosaminoglycans
2. Collagen fibers
3. Proteoglycans
4. Multiadhesive glycoproteins

Correct answer: 2. Collagen fibers